Site of absorption of Vitamin B12:
1. Ileum
2. Jejunum
3. Duodenum
4. Stomach

Correct answer: 1. Ileum

Explanation: Ans. A. Ileum(Ref: Harper 31/e page 533-540)Site of absorption of Iron--Proximal DuodenumSite of absorption of Folic acid--Proximal jejunumSite of absorption of Cobalamin--Ileum